About Direct standardization all are true except:
1. Age specific death rate is not needed
2. A standard population is needed
3. Population should be comparable
4. Two populations are compared

Correct answer: 1. Age specific death rate is not needed

Explanation: Standardization is done to compare the death rate of two populations with different age composition. Direct Standardization Indirect Standardization Method Use actual ASDRs* on the standard age structure Use Standard ASDRs* on the actual age structures Utility when 1. No. of deaths in each age group 2. Population in each age group Both are available Both are unavailable (ASDR*: Age Specific Death Rate)